Nasal mucosa is supplied by:
1. only external carotid artery
2. Only internal carotid artery
3. Mainly external carotid artery
4. Mainly internal carotid artery

Correct answer: 3. Mainly external carotid artery

Explanation: Both the internal and external carotid artery supply the nose but main artery is the external carotid artery. Ref.Dhingra5/e p 189